Liking to wear opposite sex clothes-
1. Fetichism
2. Masochism
3. Transvestism
4. Sadism

Correct answer: 3. Transvestism

Explanation: Transvestism - a transvestite is a person whose whole personality is dominated by the desire to be identified and thought of as a member, of opposite sex. It is usually found in males who obtain sexual pleasure by wearing female dress.
Fetichism- Fetish is an abnormal stimulus or object of sexual desire. Fetichism means use of such objects for sexual gratification.
Masochism- sexual gratification is obtained or increased by the suffering or pain on self.
Sadism- sexual gratification is obtained or increased from acts of physical cruelty or infliction of pain upon one's partner.